Lateral orbital wall is formed by
1. Zygomatic bone and greater wing of sphenoid
2. Zygomatic and orbital process of palatine
3. Frontal process of maxilla
4. Frontal bone and lesser wing of sphenoid

Correct answer: 1. Zygomatic bone and greater wing of sphenoid

Explanation: Orbital wall Roof - Frontal - Lesser wing of sphenoid Floor -Zygomatic & orbital process of palatine Medial wall frontal process of maxilla - Lacrimal Bone - Orbital plate of the ethmoid - Body of the sphenoid Lateral wall - Zygomatic - Greater wing of sphenoid